Chromosomal no. of primary spermatocyte is :
1. 46 XY
2. 22XN
3. 22XX
4. 46 XX

Correct answer: 1. 46 XY

Explanation: 46 XY